Investigation of choice for gall stone
1. X-Ray
2. USG
3. Cholecystography
4. CAT Scan

Correct answer: 2. USG

Explanation: B i.e. USG